All are components of saint's traid except
1. Renal stones
2. Hiatus hernia
3. Diverticulitis of colon
4. Gall stones

Correct answer: 1. Renal stones

Explanation: Saint's triad is a medical condition of concurrence of the following: Cholelithiasis (gallstones) Hiatal hernia Diverticular disease (diverticulosis of colon) Ref: Bailey and love 27th edition Pgno: 1124